Phagocytosis in the CNS is done by:
1. Astrocytes
2. Schwann cells
3. Microglia
4. Oligocytes

Correct answer: 3. Microglia

Explanation: Ans. C. MicrogliaThe reticuloendothelial system (R.E.S) comprises monocyte-derived phagocytic cells that are lymph nodes and several other organs. The reticuloendothelial system comprises monocyte-derived phagocytic cells that are lymph nodes several other organs.